Oxidative phase of HMP shunt pathway is least active in
1. Adrenal cortex
2. Lactating mammary gland
3. RBC
4. Skeletal muscle

Correct answer: 4. Skeletal muscle

Explanation: Oxidative phase of HMP shunt pathway is least active in skeletal muscle High activity of HMP shunt Low activity of HMP shunt Liver Non-lactating mammary gland Adipose tissue Skeletal muscle Adrenal cortex, Thyroid Erythrocytes Testis Lactating mammary gland NOTE: Oxidative phase of HMP shunt cannot occur in kidneys.